Lyme disease is transmitted by-
1. Rat flea
2. Tick
3. Mite
4. None

Correct answer: 2. Tick

Explanation: Ans. is 'b' i.e.. Tick